Characteristic adverse effect of quinidine includes:
1. Lupus erythematosis
2. Cinchonism
3. increase in digoxin clearance
4. Precipitation of hyperthyroidism

Correct answer: 2. Cinchonism